Ectopic pregnancy occurs in all EXCEPT
1. PID
2. IUD
3. History of previous ectopic
4. DUB

Correct answer: 4. DUB

Explanation: i.e. (DUB): (178-Dutta's7th) (266-67-Shaw's 15th)RISK FACTORS OF ECTOPIC PREGNANCY* History of PID* History of tubal ligation* Contraception failure* Previous ectopic pregnancy* Tubal reconstructive surgery* History of infertility* ART particularly if the tube are patent but damaged* IUD use* Previous induced abortion* Tubal endometriosis Sonography scan reveals adnexal mass | |||Adenexal mass < 3cmAdnexal mass 3-5 cmAdnexal mass > 5cm or free fluid|||Medical managementLaparoscopyLaparotomy* Methotrexate + leucovorum* Prostaglandin F2a* RU - 486* KC1. hypermolar glucose* Salpingectomy* Milking fimbrial end pregnancy* Salpingotomy* Salpingostomy* Resection* Study opposite tube* Salpingectomy* Salpingo-oophorectomy* Study opposit tube|Follow up with hCG(Serial serum quantitative titres)| || SuccessfulhCG rising or plateau or bleeding | Laparotomy Treatment of ectopic tubal pregnancy (ETP)